Mesencephalo-oculo facial angiomatosis is seen in-
1. KTW syndrome
2. NF1 and NF2
3. Sturge weber syndrome
4. Wyburn Mason syndrome

Correct answer: 4. Wyburn Mason syndrome

Explanation: Mesencephalo-oculo facial angiomatosis is seen in Wyburn Mason syndrome. Bonnet-Dechaume-Blanc syndrome, also known asWyburn-Mason syndrome, is a rare congenital disorder characterized by AVM of the brain, retina or facial nevi. It is a part of spectrum of disease called CAMS(Cerebrofacial arteriovenous metameric syndrome). A & B fundoscopy image showing congestion of vessels at retina consistent with avm. C (T2WI),D(POST CONTRAST T1WI) & E (TOF- MRA) image showing AVM in right basal ganglia in Woburn-mason syndrome.